Flame cells are found in?
1. Excretory portion of trematodes
2. Excretory portion of nematodes
3. Excretory portion of amoeba
4. Excretory portion of protozoa

Correct answer: 1. Excretory portion of trematodes

Explanation: Morphology of a hermaphroditic trematode: 1. Oral sucker 2. Pharynx 3. Genital pore 4. Ventral sucker 5. Uterus 6. Caecum 7. Cirrus 8. Ovary 9. Flame cell 10. Testis 11. Excretory bladder TEXTBOOK OF MEDICAL PARASITOLOGY,CKJ PANIKER,6TH EDITION,PAGE NO117